The vitamin that facilitates iron absorption:
1. Folic acid
2. Ascorbic acid
3. Biotin
4. Para amino benzoic acid

Correct answer: 2. Ascorbic acid